In vitamin A deficiency, patient complains of all of the following except:
1. Night blindness
2. Xerophthalmia
3. Keratosis
4. Phosphoric calciuria

Correct answer: 4. Phosphoric calciuria